Tattooing in entry wound of a firearm injury is due to:
1. Burns
2. Smoke
3. Gunpowder
4. Wads

Correct answer: 3. Gunpowder

Explanation: Effects of different discharges from a gun: Fire / Flame -- burning at entrance wound along with burning or singeing of hairs. Smoke - Blackening effect or smudging Hot gases- Scorching effect Unburnt Gun powder - Tattooing effect, peppering or stippling effect Felt wad - Minor abrasion and bruise. Bullet / Pellet - Puncture wound with abrasion collar.